Which of these is the most important indication for Strassmans Metroplasty done for a bicornuate uterus?
1. Infertility
2. Menorrhagia
3. Repeated early pregnancy losses
4. Associated vaginal atresia

Correct answer: 3. Repeated early pregnancy losses

Explanation: Habitual abortion is the most important indication for surgical treatment of women who have a double uterus. The abortion rate in women who have a double uterus is to three times greater than that of the general population. Best diagnosis of the condition is made by laparohysteroscopy. Strassmans Metroplasty